Truma and injury severity score (TRISS) includes
1. GCS+BP+RR
2. Revised trauma score ^injury severity score +age
3. Revised trauma score +injury severity score +GCS
4. Revised trauma score + GCS +BP

Correct answer: 2. Revised trauma score ^injury severity score +age

Explanation: (B) (Revised Trauma score /injury severity score + Age) (The Trauma Manual by Moore 2 Mattox)Trauma and injury severity score (TRISS) Combines the Reviseds Trauma score (RTS)and injury severity score (ISS) with the 'Age' of patient together with the method of injury (Blunt or penetrating).Trauma and Injury Severity score (TRISS)* The TRISS is a combined scoring system used to predict the outcome following major trauma* It combines the anatomic derangements (ISS) and physiological derangements (RTS)together with patientsAge and Mechanism of Injury (Blunt or penetrating) to predict survival after trauma.TRISS (Trauma and injury Severity Score)* Injury severity Score (ISS)* Revised Trauma Score (RTS)* Age* Mechanism of injury (Blunt/penetrating)* The TRISS scoring system provides a rough predictor medicating whether mortality in a given patient is expected to be greater or less than 50 percent.TRIAGE- the screening and classification of sick, wounded or injured persons during war or other disaster to determine priorty needs for efficient uses of medical and nurshing manpower, equipment and facilities. It is also done in imergency rooms and in acute care clinics to determine priorty of treatment use of triage is essential if the maximum number of lives are to be saved during an emergency situation that produces many more sick and wounded than the available medical care facilities and personnel can possibly handle.